Treatment of choice for non-united fracture of lower 1/4th tibia with multiple discharging sinuses & various puckered scar with 4cm shortening of leg-
1. Plating
2. External fixature
3. Ilizarov's fixature
4. Intramedullary nail

Correct answer: 3. Ilizarov's fixature

Explanation: *Patient in question has infected non-union with shortening of 4cms. Ilizanov fixature with distraction osteogenesis will be the best option. Ref: Maheshwari 9th/e p.158